Hypercalcemia in the setting of squamous cell carcinoma esophagus is mainly due to:
1. Bone metastasis
2. Calcitonin excess
3. Parathormone excess
4. Parathormone related peptide secretion

Correct answer: 4. Parathormone related peptide secretion

Explanation: Hypercalcemia may occur in the absence of osseous metastases in squamous cell carcinoma esophagus, probably from parathormone-related peptide secreted by tumor cells. Ref:Harrison,E-18,P-765